The drug having higher concentration in the bone:
1. Piperacillin
2. Vancomycin
3. Clindamycin
4. Paramomycin

Correct answer: 3. Clindamycin

Explanation: Poor bone penetration. - B lactams - Vancomycin - Aminoglycoside Good bone penetration (Higher concentration in Bone) * Tetracycline * Macrolide * Clindamycin